All of the following are examples of round cell tumours except?
1. Neuroblastoma
2. Non Hodgkin's lymphoma
3. Osteosarcoma
4. Ewing's sarcoma

Correct answer: 3. Osteosarcoma

Explanation: Small round cell tumours of childhood are:

Retinoblastoma.
Neuroblastoma.
PNET.
Rhabdomyosarcoma.
Lymphoma.
Medulloblastoma.
Wilms tumor.
Ewings sarcoma.